Vitamin k epoxide cycle is seen in
1. Lungs
2. Liver
3. Intestine
4. Spleen

Correct answer: 2. Liver

Explanation: Reference: Harpers illustrated biochemistry 30th edition